Which of the following is absent in breast milk?
1. Iron
2. Vitamin A
3. Vitamin D
4. None of the above

Correct answer: 4. None of the above

Explanation: The earlier teaching that human milk is deficient in vitamin D is no longer accepted. Vitamin D is present in human milk in water-soluble form. Human milk contains more vitamin A and vitamin C than cows milk.Recent work shows that iron contained in milk has a high level of bioavailability.Ref: Park; 23rd ed; Pg: 540